Tricarboxylic acid cycle does not occur in
1. Myocyte
2. Red blood cell
3. Neuron
4. Hepatocyte

Correct answer: 2. Red blood cell

Explanation: RBCs - don't contain mitochondria-No TCA cycle Pathways that occur in mitochondria: * Fatty acid oxidation (b-oxidation) * TCA cycle * Oxidative phosphorylation and ETC * Ketone body synthesis and Utilization . Mitochondrial Protein and DNA synthesis